All of the following are characteristic features a Kwashiorkar, except –
1. High blood osmolarity
2. Hypoalbuminemia
3. Edema
4. Fatty liver

Correct answer: 1. High blood osmolarity